embryo implants on the endometrium after--------of fertilisation :
1. 3-5 days
2. 7-9 days
3. 10 days
4. 16 days

Correct answer: 2. 7-9 days

Explanation: 6-7 days after fertilisation, the embryo implants the uterine wall. Reference : william's Textbook of Obstetrics 4th edition page no 89